Translocation seen in Synovial cell sarcoma
1. t (1;19)
2. t (2;14)
3. t (x; 18)
4. t (2;13)

Correct answer: 3. t (x; 18)